Types of dengue serotypes are?
1. 2
2. 4
3. 5
4. 10

Correct answer: 2. 4

Explanation: Dengue virus: Arbovirus 4 serotypes Manifestations
1. Assymptomatic
2. Dengue fever: √ a.k.a break bone fever √ Incubation period : 3-10 days
3. Dengue hemmorhgic fever: √ Infection or reinfection with more than one type of dengue virus √ Incubation period :
4-6 days √ Plasma leakage and hemostasis, hemoconcentration, thrombocytopenia √ Transmitted by bites of aedes aegypti